Fat necrosis is common in:
1. Omentum
2. Breast
3. Retroperitoneal fat
4. All of the above

Correct answer: 4. All of the above

Explanation: Ans. (d) All(Ref Robbins 9th/pg 43; 8th/pg 15,16)*. Fat necrosis*. Not a specific pattern of necrosis.Q*. Signifies focal areas of fat destruction*. Released lipases split the triglyceride esters contained within fat cells.*. The fatty acids, so derived, combine with calcium to produce grossly visible chalky- white areas (fat saponification)Q*. Seen in acute pancreatitis, breast, omentumQ